Feature indicative of anti-mortem drowning is :
1. Cutis anserina
2. Rigor mortis
3. Washerwomans feet
4. Grass and weeds grasped in the hand

Correct answer: 4. Grass and weeds grasped in the hand

Explanation: D i.e. Grass & Weed grasped in the hand